'Obstruction of Inferior vena cava' presents :
1. Paraumblical dilatation
2. Thoraco-epigastric dilatation
3. Oesophagus varies
4. Haemorrhoides

Correct answer: 2. Thoraco-epigastric dilatation

Explanation: B i.e. Thoraco-epigastric dilation